Acceptable fluoride concentration in drinking water is
1. 4 ppm
2. 2 ppm
3. 3 ppm
4. 1 ppm

Correct answer: 4. 1 ppm